Pathognomic of Actinomyces pelvic infection in IUCD users is?
1. Raised ESR.
2. Present of granuloma in microscopic lesion.
3. Presence of Sulphur granules.
4. Pelvic abscess

Correct answer: 3. Presence of Sulphur granules.

Explanation: Tubo-ovarian abscess with the classic "Sulphur granules"are observed histologically along with gram positive filaments. Approximately 7% of women using an IUD may have a finding of Actinomyces-like organisms on a Pap test. In the absence of symptoms, women with Actinomyces-like organisms on a Pap test do not need antimicrobial treatment or IUD removal. Actinomyces israelli is the species most commonly associated Plastic inert IUDs are associated with a greater prevalence of Actinomyces infection than are copper-bearing IUDs. IUD removal, antibiotic treatment, are recommended.